CYP 450 inducers are
1. Cimetidine
2. Ketokonazole
3. Phenobarbitone
4. Theoplylline

Correct answer: 3. Phenobarbitone

Explanation: P-450 inducers are: Phenobarbitone, rifampicin, phenytoin, chloe hydrate, phenylbutazone, griseofulvin, DDT, an chronic alcohol ingestion. Ketoconazole and cimetidine inhibit the drug metabolizing enzymes. Ref-KDT 7/e p26